A 26-year-old primigravida with a twin gestation at 30 weeks presents for a USG,The sonogram indicates that the fetuses are both male and the placenta appears to be diamniotic and monochorionic.Twin B is noted to have oligohydramnios arid to be much smaller than twin A. In this cirnical scenario ,all of following are concerns for twin A except
1. CHF
2. Anemia
3. Hydramnios
4. Widespread thromboses

Correct answer: 2. Anemia

Explanation: In twin-twin transfusion syndrome,hemodynamic imbalance occurs. As a result the receptor twin becomes larger with hydramnios,polycythemic,hypertensive,hypervolemic,at the expense of the donor twin. Reference:DC Dutta's textbook of obstetrics,8th edition,page no:240